Root planning is done to remove cementum that has been altered in conact with:
1. Exotoxins
2. Endotoxins
3. Granulation tissue
4. Junctional epithelial lining

Correct answer: 2. Endotoxins